What is produced by lung tissue to be used in lungs?
1. Angiotensin I
2. Renin
3. Surfactant
4. Angiotensin II

Correct answer: 3. Surfactant

Explanation: Ans. is'c'i.e., SurfactantAmong the given options, two substances are formed in lung-Surfactant: Used by lungs alveoli to reduce surface tension.Angiotensin II : ACE in lungs convert angiotensin I to angiotensin II. But angiotensin II mainly acts on blood vessels, kidney and adrenal cortex.